When resuscitating a patient in shock which of the following is not an adequate parameter to predict end point of resuscitation?
1. Base deficit
2. Lactate
3. Mixed venous oxygen saturation
4. Blood presure

Correct answer: 4. Blood presure

Explanation: Traditionally, patients have been resuscitated until they have a normal pulse, blood pressure and urine output. However, these parameters are monitoring organ systems whose blood flow is preserved until the late stages of shock. A patient, therefore, may be resuscitated to restore central perfusion to the brain, lungs and kidneys and yet continue to underperfuse the gut and muscle bedsResuscitation algorithms directed at correcting global perfusion endpoints (base deficit, lactate, mixed venous oxygen saturation) rather than traditional endpoints have been shown to improve mortality and morbidity in high-risk surgical patients.Ref: Bailey and love 27e pg: 18